Polyribosyl ribitol phosphate PRP antigen is present in the capsule of H. influenzae
1. Serotype a
2. Serotype b
3. Serotype c
4. Serotype d

Correct answer: 2. Serotype b

Explanation: Capsular polysaccharide of serotype b has PRP antigen that is also used in vaccine preparation because of it's immunogenic property.